The synovial cavity of the glenohumeral joint communicates with the subdeltoid bursa after the rupture of?
1. Infraspinatus Tendon
2. Middle glenohumeral ligament
3. Subscapularis Tendon
4. Supraspinatus Tendon

Correct answer: 4. Supraspinatus Tendon

Explanation: The shoulder joint is separated from the subacromial bursa by the supraspinatus tendon, which is inserting on the greater tubercle of the humerus. So, if the supraspinatus tendon is ruptured, the synovial cavity of the shoulder will be able to communicate with the subacromial bursa. If contrast dye is injected into the cavity of the shoulder joint following a rupture of the supraspinatus tendon, the contrast will flow into the subacromial bursa.This can be observed in imaging studies. You should know this relationship between the supraspinatus tendon and the subacromial bursa.The tendon of infraspinatus also inserts on the greater tubercle of the humerus-however, it does not communicate with the subacromial bursa. The middle glenohumeral ligament strengthens the capsule of the shoulder joint.The subscapularis tendon inserts on the lesser tubercle of the humerus-it is not near the subacromial bursa. Finally, the tendon of the long head of the biceps originates on the supraglenoid tubercle scapula and travels through the shoulder joint, lying in the intertubercular groove of the humerus. It is not a structure that communicates with the subacromial bursa.